A young man with known history of heroine addiction is brought in the emergency in unconscious state by his friends. On examination his pupils are pin point. What will be the treatment of choice?
1. Oral naltrocene
2. IV Nalxone
3. Oral diazepam
4. Oral buprenorphine

Correct answer: 2. IV Nalxone

Explanation: The classic triad for opioid poisoning is miosis, coma and respiratory depression. Naloxone is a potent antagonist and does not cause respiratory or circulatory depressant action. The aim of naloxone administration is to reverse the respiratory and central nervous system depression. REF;THE SYNOPSIS OF FORENSIC MEDICINE:KS NARAYANA REDDY;28th EDITION;PAGE NO 335